Drug used for cobra bite is
1. Neostigmine
2. Atropine
3. Adrenaline
4. Physostigmine

Correct answer: 1. Neostigmine

Explanation: In cobra bite, there is Neuromuscular paralysis. Neostigmine increase acetylcholine metabolism at synapse so that more ach is available to act on NM receptors producing muscle contraction physostigmine may have unnecessary central side effects Ref: KDT 6th ed pg 102